Not a grievous hurt -
1. Emasculation
2. Contusion over scalp
3. Fracture of bone
4. Hurt which endanger life

Correct answer: 2. Contusion over scalp

Explanation: The synopsis of forensic medicine & toxicology;Dr k.s narayan reddy;28th edition; pg.no. 154&155; All except option 2 comes under grievous hurt ,contusion over the scalp is a minor injury and doesn't come under grievous hurt.